Type B alcohol dependence is associated with all except ?
1. Severe dependence
2. Late onset
3. Many childhood risk factors
4. Polysubstance abuse

Correct answer: 2. Late onset

Explanation: Alcohol dependence Type A Type B Late onset Early onset Few childhood risk factors Many childhood risk factors Mild dependence Severe dependence Few alcohol related problems Frequent polysubstance abuse